Which of the following complications is most likely to occur after recieving several units of blood transfusion?
1. Metabolic alkalosis
2. Metabolic acidosis
3. Respiratory alkalosis
4. Respiratory acidosis

Correct answer: 1. Metabolic alkalosis

Explanation: Banked blood has a pH of 6.8 and is acidotic. After massive transfusion citrate in the stored blood is converted into bicarbonate resulting in metabolic alkalosis. Ref: Transfusion Medicine and Hemostasis: Clinical and Laboratory Aspects By Christopher D. Hillye, Page 291 ; Yao and Artusio's Anesthesiology: Problem-Oriented Patient Management By Fun-Sun F. Yao, 6th Edition, Page 1148